Agenesis of cerebellar vermis,large posterior fossa with megacisterna magna is a feature of
1. Von Hippel-Lindau syndrome
2. Sturge weber syndrome
3. Chiari malformation
4. Dandy Walker malformation

Correct answer: 4. Dandy Walker malformation

Explanation: Dandy-Walker Malformation is associated with agenesis of the cerebellar vermis, with the fourth ventricle communicating with cisterna manga producing Mega Cisterna Magna and a large Posterior Fossa. The Dandy-Walker continuum (DWC) is a spectrum of anomalies that includes Dandy-Walker malformation (DWM), vermian hypoplasia (VH),Blake pouch cyst (BPC), and mega cisterna magna (MCM).